Nonavalent HPV vaccine consists of
1. HPV (6,11,16,18,32,34,45,52 and 58)
2. HPV (6,11,16,18,31,33,45,52 and 58)
3. HPV(6,11,16,18,31,33,46,53 AND 59)
4. HPV(6,11,16,18,31,33,46,52 AND 58)

Correct answer: 2. HPV (6,11,16,18,31,33,45,52 and 58)

Explanation: Nonavalent HPV is 6, 11, 16, 18, 31, 33, 45, 52 and 58
Bivalent HPV is (HPV 16 and 18)
Quadrivalent HPV vaccine is (HPV 6, 11, 16 and 18)